A needle biopsy of the sural nerve resulted in the formation of a hematoma. Which of the following veins closely adjacent to the nerve was accidently injured?
1. Accessory saphenous
2. Femoral
3. Greater saphenous
4. Lesser saphenous

Correct answer: 4. Lesser saphenous

Explanation: The sural nerve runs directly next to the lesser saphenous vein, so that is the source of the hematoma. The accessory saphenous vein is a small branch of the greater saphenous vein that lies on the medial side of the thigh. The femoral vein is a large, deep vein that drains the upper thigh. The greater saphenous vein is a superficial vein that lies on the medial side of the leg. It travels anterior to the medial malleolus and posterior to the medial condyle of the femur to lay on the anteromedial side of the thigh.